who did lobotomy in chimpanzee
1. jacobson
2. manfred bleuler
3. eugene bleuler
4. konrad lorenz

Correct answer: 1. jacobson

Explanation: * Jacobson=================lobotomy in chimpanzees * Almedia lima+ egaz moniz===PF leukotomy * Subcaudate tractotmy======OCD * Limbic leukotomy=========OCD and depression * Anterior capsulotomy Anterior cingulotomy Ref. kaplon and adock, synopsis of psychiatry, 11 th edition, 1065